Patient with recurrent pain over right cheek that increases on chewing and between attacks patient is otherwise normal. Most probable diagnosis is?
1. Preherpetic neuralgia
2. Trigeminal neuralgia
3. Mumps
4. Thalamic syndrome

Correct answer: 2. Trigeminal neuralgia

Explanation: Harrison's principles of internal medicine 17th edition. * Trigeminal neuralgia is characterised by excruciating paroxysms of pain in lips gums cheek, the pain very rarely lasts for more than a few seconds or minutes.they may occur spontaneously or with movement of affected area evoked by speaking,chewing or smiling.